The arachnoid villi responsible for cerebrospinal fluid absorption protrude mainly in the:
1. Superior sagittal sinus
2. Inferior sagittal sinus
3. Straight sinus
4. Transverse sinus

Correct answer: 1. Superior sagittal sinus

Explanation: A i.e. Superior saggital sinus